All of the following are true for patients with ulcerative colitis associated with primary sclerosing cholangitis (PSC), Except
1. The may develop biliary cirrhosis
2. May have raised alkaline phosphatase
3. Increased risk of hilar Cholangiocarcinoma
4. PSC reverts after a total colectomy

Correct answer: 4. PSC reverts after a total colectomy

Explanation: PSC associated with ulcerative colitis eventually leads to biliary cirrhosis. Investigations reveal a cholestatic pattern in LFT with an elevation of serum alkaline phosphatase & gamma-glutamyltransferase. The prevalence of cholangiocarcinoma in patients with PSC ranges from 7 to 13%. Reference: Bailey & love's short practice of surgery,25th edition, page no:1127; SRB's manual of surgery,5th edition, page no:658.